Chronic subdural haematoma refers to collection present for a period of -
1. 7 days
2. 6 months
3. 1 year
4. 21 days

Correct answer: 4. 21 days